Amaurotic cat's eye reflex is seen in:
1. Papilloedema
2. Papillitis
3. Retinoblastoma
4. Retinitis pigmentosa

Correct answer: 3. Retinoblastoma

Explanation: Ans. Retinoblastoma